Following statements about sarcoidosis is false
1. The first manifestation of the disease is an accumulation of mononuclear inflammatory cells, mostly CD8 + THI lymphocytes in affected organs
2. The Heerfordt-Waldenstrom syndrome describes individuals with fever, parotid enlargement, anterior uveitis, and facial nerve palsy
3. Elevated level of angiotensin converting enzyme (ACE) are a feature
4. Bilateral parotid involment is the rule

Correct answer: 1. The first manifestation of the disease is an accumulation of mononuclear inflammatory cells, mostly CD8 + THI lymphocytes in affected organs

Explanation: Ans. is 'a' i.e., The first manifestation of the disease is an accumulation of mononuclear inflammatory cells, mostly CD8 + THI lymphocytes in affected organs